The best fuel gas when used with oxygen is:
1. Hydrogen
2. Natural gas
3. Propane
4. Acetylene

Correct answer: 3. Propane

Explanation: Propane
Of the fuel gases, the best choice is propane. Butane, which is more readily available in some parts of the world, has a similar flame temperature and heat content as propane. Both  propane  and  butane have the advantage of being relatively pure compounds; therefore, they are uniform in quality are virtually water-free, and burn cleanly (provided that the torch flame is properly adjusted).